Fe absorption increases by which vitamin?
1. Vitamin A
2. Vitamin C
3. Thiamine
4. Riboflavin

Correct answer: 2. Vitamin C

Explanation: (b) Vitamin CRef: Harper's illustrated biochemistry, 30th ed., pg. 541Inorganic iron is absorbed in the Fe2+ (reduced) state, and hence, the presence of reducing agents enhances absorption. The most effective compound is vitamin C, and while intakes of 40 to 80 mg of vitamin C per day are more than adequate to meet requirements, an intake of 25 to 50 mg per meal enhances iron absorption, especially when iron salts are used to treat iron deficiency anaemia. Alcohol and fructose also enhance iron absorption. Heme iron from meat is absorbed separately and is considerably more available than inorganic iron. However, the absorption of both inorganic and heme iron is impaired by calcium--a glass of milk with a meal significantly reduces iron availability.